Which of the following statements about Diazoxide is false ?
1. It acts by causing prolonged opening of ATP dependent K+ channels in beta cells
2. It can cause severe hypoglycemia.
3. It can be used to treat patients with insulinoma.
4. It is used as an antihypertensive agent.

Correct answer: 2. It can cause severe hypoglycemia.